The typical appearance of "spider leg" on excretory urography is seen in:
1. Hydronephrosis
2. Polycystic kidney
3. Medullary sponge kidney
4. Renal cell carcinoma

Correct answer: 2. Polycystic kidney

Explanation: Diagnosis USG: Enlarged kidney with uniformly medullary echogenicity. IVP in ADPKD Stretching of the calyces by the cysts (spider leg or ball like deformity. Bubble appearance (calyceal distortion) Swiss cheese appearance. CT scan is IOC in ADPKD